Macrocytic anaemia is due to deficiency of:
1. Vit B1
2. Vit B12
3. Vit B2
4. Vit B6

Correct answer: 2. Vit B12